Pulmonary artery pressure is
1. 120/80 mm Hg
2. 25/0 mm Hg
3. 120/0 mm Hg
4. 25/8 mm Hg

Correct answer: 4. 25/8 mm Hg

Explanation: Pressures in various portions of CVS

Right ventricle       → 25/0 mm Hg (systolic/diastolic)
Left ventricle         → 120/0 mm Hg
Right atrium          → 2 mm Hg
Left atrium            → 5mmHg
Aorta                    → 120/80 mm Hg
Pulmonary artery → 25/8 mm Hg